Treatment of renal crises in scleroderma is-
1. P-blocker
2. Losartan
3. ACE inhibitor
4. Nitrates

Correct answer: 3. ACE inhibitor

Explanation: Scleroderma renal crisis- It presents with accelerated hypertension accompanied by acute kidney injury and progressive failure. 10% present with normal blood pressure. This is a life threatening complication of Scleroderma occurs in 10-15% of patients within 4 yrs of onset. Prior to advent ofACE-inhibitors ,short term survival in renal crisis was <10%. urinanalysis:mild proteinuria granular casts, microscopic hematuria. Ref:Harrison 20 th edition pg no. 2555.